Darting motility which occur in V.cholerae, also found in -
1. Shigella
2. Campylobacter jejuni
3. Pneumococcus
4. Bacillus anthrax

Correct answer: 2. Campylobacter jejuni

Explanation: Ans. is 'b' i.e., Campylobacter jejuni Darting (shooting star) motility is seen in V. Cholerae Gardnerella vaginalis Campylobactor